Epithelial lining of glottis/ true vocal cords:
1. Stratified squamous non-keratinized
2. Stratified squamous keratinized
3. Ciliated columnar
4. Non-ciliated columnar

Correct answer: 1. Stratified squamous non-keratinized

Explanation: Ans. A i.e. Stratified squamous non-keratinized